How to differentiate between psychological and organic erectile dysfunction?
1. Nocturnal penile tumescence
2. PIPE test
3. Sildenafil-induced erection
4. Squeeze technique

Correct answer: 1. Nocturnal penile tumescence

Explanation: Presence of early morning erections and erection during REM sleep (nocturnal erection) are suggestive of psychogenic erectile dysfunction as there is no anxiety. Whereas, a patient with organic erectile dysfunction (due to vascular or neurological causes) would not have erections even during sleep. Investigations, such as penile plethysmography and nocturnal penile intumescence (NPT) can be used to record nocturnal erections.